The parvocellular pathway from lateral geniculate nucleus to visual cortex is most sensi ve for the stimulus of
1. Color contrast
2. Luminance contrast
3. Temporal frequency
4. Saccadic eye movements

Correct answer: 1. Color contrast

Explanation: Color contrast Parvocellular pathway - Color vision, texture, shape, fine detail Magnocellular pathway - Detection of movement, depth, flickers